Most common site of myocardial infaction is ?
1. Anterior wall of left ventricle
2. Posterior wall of left ventrilce
3. Posterior wall of right ventrilce
4. Inferior wall of left ventricle

Correct answer: 1. Anterior wall of left ventricle

Explanation: Ans. is 'a' i.e., Anterior wall of left ventricleAlso knowo By convention, the coronary artery that gives rise to posterior descending branch and there by perfuses the posterior third of septum is called dominant.In 80% of persons, right dominant circulation is present, i.e. posterior discending branch arises from right coronary artery.o In 20% of cases, it arises from left circumflex artery left dominant circulation.